Commonest cancer in a renal transplant recipient is
1. Kaposi sarcoma
2. Renal cell carcinoma
3. Ca cervix
4. Skin cancer

Correct answer: 4. Skin cancer

Explanation: Cancers seen in renal transplant recipients in decreasing order are: Skin cancer > Lymphoma > Kaposi's Sarcoma > Ca Cervix > Renal tumors > Ca Vulva & perineum. Ref : Cambell's Urology 8/e p372